Pulsus bisferiens occurs in:
1. HOCM
2. AR
3. AS and AR
4. All of the above

Correct answer: 4. All of the above

Explanation: Ans. D: All of the above Pulsus bisferiens/ bisferious pulse / biphasic pulse Bisferious means striking twice, traditionally pulsus bisferiens is discovered when aortic insufficiency exists in association with aortic stenosis, but may also be found in isolated but severe aortic insufficiency, and hypertrophic obstructive cardiomyopathy.